25 year old female presenting with lump in breast to OPD-First investigation is
1. USG
2. Mammogram
3. MRI
4. PET

Correct answer: 1. USG

Explanation: Ans. (a) USG(Ref Bailey and Love 27h edition Page 861)* USG is IOC in young females with Dense breast to evaluate a lump in Breast* It is not useful as a screening tool as it is operator dependent.